Vascular inflow occlusion of the liver is by -
1. Clamping the hepatic artery
2. Occluding the portal vein
3. Clamping the hepatic veins
4. The Pringle manoeuvre

Correct answer: 4. The Pringle manoeuvre

Explanation: • Total clamping of the hepatic pedicle, by placing an atraumatic clamp across the foramen of Winslow.
• Appropriate-sized vascular clamp or loop snare easily controls hemorrhage from either the portal vein or the hepatic arteries.
• Inflow occlusion durations of up to 30 minutes can be tolerated safely in cirrhotic livers and possibly up to 60 minutes in early disease.
• If prolonged occlusion is required, intermittent clamping can be used with repeated clampings of 10-20 minutes duration, each followed by 5 minutes declamping.